For a case of pubero phonia,Thyroplasty used is
1. Type 1
2. Type 2
3. Type 3
4. Type 4

Correct answer: 3. Type 3